Osteoporosis is caused by ill except:
1. Sarcoidosis
2. Old age
3. Hypoparathyroidism
4. Steroid therapy

Correct answer: 3. Hypoparathyroidism

Explanation: Answer is C (Hypoparathyroidism) : Osteoporosis is a feature of Hyperparathyroidism (not hypoparathyroidism).